Which of the following drug is not used in influenza?
1. Oseltamivir
2. Amantadine
3. Ribavirin
4. Acyclovir

Correct answer: 4. Acyclovir

Explanation: Ans. D. AcyclovirOseltamivir is neuraminidase inhibitor which can be given for both influenzas A and B. Amantadine is drug which inhibit the uncoating of influenza A virus RNA. Ribavirin has a broad spectrum antiviral activity which inhibit the synthesis of viral RNA. Acyclovir mainly inhibit the viral DNA and its drug of choice for herpes simplex infection.